Which of the following neurotransmitter is MOST important for the induction of REM sleep?
1. Acetylcholine
2. Dopamine
3. Epinephrine
4. Norepinephrine

Correct answer: 1. Acetylcholine

Explanation: Acetylcholine is the neurotransmitter of primary importance for the induction of REM sleep. Some of the other neurotransmitters do function in sleep, but REM sleep can occur in their absence. Dopamine is a neurotransmitter with a role in voluntary movement, mood, cognition, and regulation of prolactin release. Epinephrine is important in sympathetic nervous system responses. It is also a CNS neurotransmitter. Norepinephrine is important in sympathetic nervous system responses. It is also a CNS neurotransmitter involved in attention, arousal, and mood.